Inhibitory Neurotransmitter in brain (Cerebellum, cerebral cortex etc.) is
1. GABA
2. Glutamate
3. Aspartate
4. Acetylcholine

Correct answer: 1. GABA

Explanation: (A) GABA # Inhibitory amino acids:> Glycine in brain stem & spinal cord> GABA in brain (Cerebellum, cerebral cortex etc.)# Excitatory amino acids:> Glutamate in cerebral cortex & brain stem> Aspartate in spinal cord.